Panuveitis involves –
1. Iris
2. Choroid
3. Iris, ciliary body, choroid
4. None

Correct answer: 3. Iris, ciliary body, choroid

Explanation: Panuveitis is the inflammation of the whole uvea, i.e. iris, ciliary body and choroid.